What is the partial pressure for carbon-di-oxide in the alveolar blood?
1. 0.3 mm Hg
2. 40 mm Hg
3. 32 mm Hg
4. 158 mm Hg

Correct answer: 2. 40 mm Hg

Explanation: Partial pressure of CO2 in alveolar blood (PA CO2) - 40 mm Hg. Carbon-di-oxide: Partial pressure of CO2 in inspired air (Pi CO2) 0.3 mm Hg Partial pressure of CO2 in alveolar blood (PA CO2) 40 mm Hg Partial pressure of CO2 in expired air (PE CO2) 32 mm Hg.